Treatment of choice for squamous cell carcinoma of anus is?
1. Chemotherapy
2. Chemoradiation
3. Sphincter sparing surgery
4. Monoclonal antibodies

Correct answer: 2. Chemoradiation

Explanation: ANSWER: (B) ChemoradiationREF: Schwatrtz 8th ed p-1096Squamous cell carcinoma of the anal margin (distal to dentate line): treated with wide local excisionSquamous cell carcinoma of the anal canal (proximal to dentate line): chemotherapy followed by radiation (chemoradiation), abdomino perineal resection is done for residual cases.Drugs used: 5-FU, mitomycin, bleomycin, cisplatin, doxorubicinMost common anal canal cancer: squamous cell carcinoma